Titres of Actinomycetem comitans are increased in:
1. Gingivitis
2. Trauma from occlusion
3. Juvenile periodontitis
4. Cyclic neutropenia

Correct answer: 3. Juvenile periodontitis